Fluoride helps in ?
1. Vision
2. Dentition
3. Myelination
4. Joint stability

Correct answer: 2. Dentition

Explanation: Ans. is 'b' i.e., Dentition